Rate limiting enzyme in catecholamine biosynthesis is
1. Tyrosine hydroxylase
2. Dopa Decarboxylase
3. Dopamine beta-hydroxylase (DBH)
4. Phenylethanolamine-N-Methyltransferase (PNMT)

Correct answer: 1. Tyrosine hydroxylase

Explanation: Tyrosine Hydroxylase Is Rate-Limiting for Catecholamine BiosynthesisRef: Harper's Biochemistry; 30th edition; Chapter 41; The Diversity of the Endocrine System